Risk of adverse effects of SCOLINE is greater in
1. Spinal cord injury
2. Thoracic injury
3. Bone injury
4. Head injury

Correct answer: 1. Spinal cord injury

Explanation: Ans. a (Spinal cord injury) (Ref. Lee Anesthesia 12th/pg. 223 & Anaesthesia by Ajay Yadav 2nd/pg. 86-88)Potassium release following use of scoline is especially seen in patients with the following, hence the risk of adverse effects greater in them:# Burns# Cerebral palsy# Duchenne's muscular dystrophy# Spinal cord trauma# Severe abdominal sepsis# Tetanus# UMN and LMN lesions# Wasting secondary to chronic arterial insufficiency.